Adverse effects of losartan are all except
1. Fetopathic
2. Cough
3. Hyperkalemia
4. Head ache

Correct answer: 2. Cough

Explanation: Refer kDT 7/e p 506 Common losartan side effects may include: cold or flu symptoms such as stuffy nose, sneezing, sore throat, fever; dry cough; muscle cramps; pain in your legs or back; stomach pain, diarrhea; headache, dizziness; tired feeling; or. sleep problems (insomnia).